Clozapine therapy should be stopped when WBC count falls lower than
1. 3000 / mm3
2. 1500 / mm3
3. 2000 / mm3
4. 1000 / mm3

Correct answer: 1. 3000 / mm3

Explanation: Clozapine can lead to agranulocytosis and hence therapy should be stopped if WBC count falls below 3000 / mm3 or neutrophil count falls below 1500 / mm3.